Chemically, Plaster of Paris (POP) is
1. Calcium carbonate
2. Calcium sulphate
3. Anhydrous calcium sulphate
4. Hemihydrous calcium sulphate

Correct answer: 4. Hemihydrous calcium sulphate

Explanation: chemical name is calcium sulfhate hemihydrate , called plaster of paris since obtained from gypsum in paris.